Risk factor for malignant melanoma All the following are risk factors foe malignant melanoma Except:
1. Giant congenitalnevi
2. Family history melanoma
3. Exposure to UV light
4. HPV infection

Correct answer: 4. HPV infection

Explanation: ANSWER: (D) HPV infectionREF: Bailey 25th ed page 608, 609, Sabiston 18th ed chapter 30It is well established that exposure to sunlight, specifically, solar ultraviolet (UV radiation, increases the risk for development of melanoma in susceptible populations. UVA and UVB cause different patterns of effect in the skin; however, both are considered to be carcinogenic. UVB induces the effects of sunburn, increases melanin production, and is the most carcinogenic part of the UV spectrumAdditional factors that increase the risk for development of melanoma includeDysplastic nevus (DN) syndrome; 5-10% risk of forming superficial spreading melanoma.Xeroderma pigmentosumHistory of nonmelanoma skin cancer (NMSC)Family history of melanoma (high risk)Congenital nevi; congenital nevi have an increased risk that is proportional to thesize and number of nevi, hence Giant congenital nevi has greatest lifetime risk of 5-8%Note: Chromosome mapping studies have shown evidence of linkage and heterogeneity tochromosomes 1p and 9p. Chromosome lp contributes to both sporadic and familial melanoma, whereas 9p contributes more to sporadic melanoma alone